Disulphide bond is seen between
1. Arginine and histidine
2. Arginine and cysteine
3. Cysteine and cysteine
4. Lysine and cysteine

Correct answer: 3. Cysteine and cysteine

Explanation: Disulphide bonds: These are formed between two cysteine residues. They are strong, high energy covalent bonds.Ref: Textbook of medical biochemistry, MN Chatterji, 8th edition, page no: 89